Maternal Rubella, in newborn causes all Except
1. Neural tube defects
2. CVS defects
3. Cataract
4. Deafness

Correct answer: 1. Neural tube defects

Explanation: Rubella - Postnatal infectionComplications of Rubella*Rash spreads from head to torso & extremities.*Forschheimer spots-petechiae haemorrhages on the soft palate.*Rash duration -3 days.*Suboccipital adenopathy.*MC test - IgM Rubella ELISA*Post infectious thrombocytopenia.*Self-limiting small joint arthritis in adults.*Post-infectious acute encephalitis.*Progressive rubella PanencephalitisCongenital Rubella SyndromeTransient signsPermanent signsuBony abnormalitiesuCloudy cornea uHemolytic anaemia uHepatosplenomegaly uJaundice uLow birth weight uLymphadenopathy uMeningoencephalitis uRubella viral pneumonia uThrombocytopenic purpura uAutism uBehavioural disorders uCongenital heart disease uCrytorchidismuDeafnessuDegenerative brain disease uDiabetes Mellitus uGlaucoma uInguinal hernia uIntellectual disability, Precocious puberty, Microcephaly, Myopia, Retinopathy, Seizures, Spastic diplegia, Thyroid disorders (Refer: Nelson's Textbook of Paediatrics, 19thedition, pg no: Chapter -239)